FAST USG focuses on all of the following areas except
1. Splenic
2. Hepatic
3. Pleura
4. Pelvic

Correct answer: 3. Pleura

Explanation: Answer- C. PleuraFAST focus only on four areas : -Subxiphoid area (pericardium)Right upper quadrant (liver)Left upper quadrant (spleen)Pelvis